retrorade ejaculation is common with
1. haloperidol
2. risperidone
3. chlorpromazine
4. amisulpride

Correct answer: 3. chlorpromazine

Explanation: chlorpromazine is a antisychotic which is assosiated with retrograde ejaculation blue green discolouration of skin lens granulor deposits obstructive jaundice ref. kaplon and sadock, synopsis of psychiatry, 11 th edition, p no 952